A Thirty five year old female has proximal weakness of muscles, ptosis and easy fatigability. The most sensitive test to suggest the diagnosis is -
1. Muscle Biopsy
2. CPK levels
3. Edrophonium test
4. Single fiber EMG

Correct answer: 4. Single fiber EMG